Which of the following drugs is added along with beta-blockers, In order to eliminate undesirable side effects caused by it while treating Angina?
1. Diltiazem
2. Ivabradine
3. Nitrates
4. Verapamil

Correct answer: 3. Nitrates

Explanation: Beta blockers: Causes increase in the EDV and Ejection time. This can be countered by giving nitrates along with beta blockers. Since nitrates cause vasodilation, they can induce reflex tachycardia by stimulating sympathetic reflex, but when given along with beta-blockers this mechanism is blocked. Verapamil and Diltiazem: are CCBs when given along with beta blockers can cause exaggerated suppression of SAN and AV node. so they are not given together. Ivabradine: acts by inhibiting If (Na+)channels, causes bradycardia. so will not be given along with beta blocker.